Major mineral of the bone is
1. Calcite
2. Hydroxyapatite
3. Calcium oxide
4. Calcium carbonate

Correct answer: 2. Hydroxyapatite

Explanation: Hydroxyapatite Hydroxyapatite crystals are the major mineral of bone Hydroxyapatite (also k/a bone mineral) is the salt of calcium and phosphorus with the formula Calc(PO4)6(01)2. Structural composition of bone : Also know Bone has to be 50% mineralised to be visible on radiographs.